All of the following proteins are decreased in Nephrotic syndrome. Except
1. Transferrin
2. Fibrinogen
3. Albumin
4. Thyroxine Binding Globulin

Correct answer: 2. Fibrinogen

Explanation: Answer is B (Fibrinogen) Nephrotic syndrome is characteristically associated with increased fibrinogen levels - Hyper fibrinogenemia. Proteins increased in nephrotic syndrome Fibrinogen Lipoproteins: due to increased synthesis Most proteins are however decreased in Nephrotic Syndrome. Proteins decreased Albumin Transferrin Cholecalciferol binding protein Thyroxine binding globulin Consequence Oedema due to hypoalbunimia Q Fe resistant microcytic anemia Q Hypocalcemia Q Decreased thyroxin (Hypothyroid state)